A 21-year old male presents with exertional dyspnea, raised JVP and loud P2. ECG shows right axis deviation. All of the following conditions are possible except :
1. Atrial septal defect
2. Mitral stenosis
3. Ostium primum
4. Pulmonary thromboembolism

Correct answer: 3. Ostium primum